'Sanitation barrier' implies -
1. Segregation of faeces
2. Personal hygiene
3. Elemination of flies
4. Water pollution

Correct answer: 1. Segregation of faeces

Explanation: Ans. is 'a' i.e., Seggregation of faeces Sanitation barrier A disease cycle may be broken at several levels : segregation of faeces, protection of water supplies, protection food, personal hygeine, control of flies. o The most effetive step of all these, however, is to segregate the faeces and arrange for its proper disposal. o This is the concept of sanitation barrier.